"Double bubble" sign is feature of:
1. Annular pancreas
2. Duodenal atresia
3. Duodenal diaphragm
4. ALL of the above

Correct answer: 4. ALL of the above

Explanation: Ans. d (All of the above). (Ref. Grainger's Diagnostic Radiology, 4th ed., 1205, 1212) Radiological appearanceDisease1Single bubble with paucity of gaseous shadowCHPS2'Double-bubble' signDuodenal atresiaAnnular pancreasLadd's band3Triple bubble signjejunal atresia4Multiple bubbles with microcolonIleal atresiaNote: Ladd's band, the abnormal peritoneal bands, passing from the caecum to porta hepatis region, crossing the duodenum are often present in patients with malrotation and may contribute to partial duodenal obstruction but are rarely the sole cause.